Death by suicidal gunshot wound usually can be confirmed by
1. Finger print on the gun
2. Blood on the gun
3. Gun in hand
4. Gunshot residues in the hand

Correct answer: 4. Gunshot residues in the hand

Explanation: Presence of Gun shot residue suggests the possibility of use of a firearm. - Various tests for detecting GSR * Dermal Nitrate test or Paraffin test Harrison and Gilroy test Neutron activation analysis Atomic absorption spectroscopy (AAS) Flameless atomic absorption spectrophotometry (FAAS) * Scanning Electron Microscope- Energy Dispersive X-ray spectrometry (SEM-EDX) (Most specific)